Which of the following statements about Xanthogranulomatous Pyelonephritis is not true?
1. Foam cells are seen
2. Associated with Tuberculosis
3. Yellow nodules are seen
4. Giant cells may be seen

Correct answer: 2. Associated with Tuberculosis

Explanation: Xanthogranulomatous Pyelonephritis is an uncommon complications of UTI. It is frequently seen in patient with urinary tract obstruction. It is not associated with Tuberculosis. Ref: Stuart G. Silverman, Richard H. Cohan, (2007), Chapter 6, "Renal Infections", In the book, "CT Urography: An Atlas", USA, Page 94; Smith's Urology, 16th Edition, Pages 213-14; Heptinstall's Pathology of The Kidney, 6th Edition, Page 1006